Which disease come under international surveillance
1. Typhoid fever
2. Chikungunya fever
3. Salmonellosis
4. Hepatitis B

Correct answer: 3. Salmonellosis

Explanation: Diseases under WHO surveillance 

Polio
Rabies
Relapsing fever
Influenza
Salmonellosis 
Malaria
Louse born typhus